Symptomatic Neonatal CNS involvement is most commonly seen in which group of congenital intrauterine infections?
1. CMV and Toxoplasmosis
2. Rubella and Toxoplasmosis
3. Rubella and HSV
4. CMV and Syphillis

Correct answer: 3. Rubella and HSV

Explanation: CNS involvement is a common feature of "TORCH infection". The newborn is asymptomatic at birth. The baby develops symptoms characteristic of the infection in the late neonatal period. Symptomatic CNS manifestations are most common with herpes and rubella infections. Ref: O P Ghai 6th Edition, Page 165; Vope's Neurology of the born 3rd Edition, Page 675